All of the following are the electrocardiographic features of Hyperkalemia, except -
1. Prolonged PR interval
2. Prolonged QT interval
3. Sine wave patterns
4. Loss of P waves

Correct answer: 2. Prolonged QT interval